Placing a ring liner approximately 3.25 mm short of the ends of the ring tends to
1. Produce a more uniform expansion and the expansion will not be in a vertical direction hence no distortion
2. Produce a more uniform contraction
3. Produce no change
4. Produce distortion

Correct answer: 1. Produce a more uniform expansion and the expansion will not be in a vertical direction hence no distortion